Pulmonary fibrosis is seen with:
1. Bleomycin
2. Cisplatin
3. Methotrexate
4. Actinomycin D

Correct answer: 1. Bleomycin

Explanation: Bleomycin: This is a mixture of closely related glycopeptide antibiotics having potent antitumour activity. It chelates copper or iron, produces superoxide ions and intercalates between DNA strands-causes chain scission and inhibits repair . It is highly effective in testicular tumour and squamous cell carcinoma of skin, oral cavity, head and neck, genitourinary tract and esophagus; also useful in Hodgkin's lymphoma. Mucocutaneous toxicity and pulmonary fibrosis, but little myelosuppression are the special features. ESSENTIALS OF MEDICAL PHARMACOLOGY K.D.TRIPATHI SIXTH EDITION PAGE NO:826,827